Chronic kidney disease is defined as GFR less than (mL/ min/ 1.73 m2):
1. 60
2. 70
3. 80
4. 90

Correct answer: 1. 60

Explanation: Ans. A i.e. 60